Universal ( Standard) precaution to be observed by surgeons for the preventation of hospital acquired HIV infection include the following except
1. Wearing gloves and other barrier precaution
2. Washing hands on contamination
3. Handling sharp instruments with care
4. Pre - operative screening of all patients of HIV

Correct answer: 4. Pre - operative screening of all patients of HIV

Explanation: Standard precautions are meant to reduce the risk of transmission of bloodborne and other pathogens from both recognized and unrecognized sources. Some of the key elements include : Hand hygiene Gloves Facial protection Gown Prevention of neddle stick and injuries from sharps Respiratory hygine and cough etiquette Environmental cleaning Linens Waste disposal Patient care equipment